True about measles are all except ?
1. Koplik's spots is pathognomonic
2. Source is a case
3. Infectivity is low
4. Affect age group 1 to 3 years

Correct answer: 3. Infectivity is low

Explanation: Ans. is 'c' i.e., Infectivity is low Measles has high infectivity with secondary attack rate of 80%. Other options are correct.